How long can blood be stored with CPD -A -
1. 21 days
2. 28 days
3. 35 days
4. 42 days

Correct answer: 3. 35 days